Strawberry berry gallbladder' is seen in
1. Porcelain gall bladder
2. Cholesterosis
3. Necrosis of gall bladder
4. Gall bladder carcinoma

Correct answer: 2. Cholesterosis

Explanation: the strawberry gallbladder is seen in cholesterosis,i.e.abnormal deposition of cholestrol in gallbladder.In the freshstate,the interior of the gallbladder looks something like a strawberry,the yellow specks (submucous aggregations of cholesterol crystals and cholesterol esters )correspond to the seeds. It may be associated with cholesterol stones. Ref Bailey and love 27e p1188